A 26-year-old man is having treatment with chemotherapy for Hodgkin's lymphoma. During his treatment, he has severe vomiting. Which location in the brain is responsible for his symptoms?
1. Area postrema
2. Tuber cinereum
3. Organum vasculosum Lamina terminalis
4. Median Eminence

Correct answer: 1. Area postrema

Explanation: Option B- Present in the ventral part of hypothalamus, connects hypothalamus to the pituitary & transports hormones from hypothalamus- pituitary Option C- used for osmoreceptors which makes us thirsty so we drink water. Question asks about the Chemoreceptor trigger zone (CTZ) which is present in area postrema